The most common ovarian cause of increased androgenic state is:
1. PCOD
2. Premature adrenarche
3. Androgen secreting tumor
4. Choriocarcinoma

Correct answer: 1. PCOD

Explanation: (A) PCOD# Polycystic Ovarian Syndrome (PCOS):> it was earlier known as Stein Leventhal syndrome. 1% female population suffers from PCOS, and the patients are mostly 15-25 years age.> PCOS includes chronic non-ovulation and hyperandrogenemia associated with normal or raised oestrogen (E2), raised, LH & low FSH/LH ratio.> In PCOS-LH>FSH: Obesity and hirsuitism are important features PCOS includes chronic non- ovulation and hyper androgenemia.